The most common form of anthrax in man is
1. Alimentary
2. Cutaneous
3. Pulmonary
4. Hepatic

Correct answer: 2. Cutaneous

Explanation: In humans, approximately 95% of cases are cutaneous anthrax, and 5% are inhalation. Gastrointestinal anthrax is very rareRef: Jawetz, Melnick, & Adelberg's Medical Microbiology; Twenty-Seventh Edition; Chapter 11; Spore-Forming Gram-Positive Bacilli: Bacillus and Clostridium Species